Kerion is caused by -
1. Candida
2. Streptococcus
3. Dermatophytes
4. Herpes

Correct answer: 3. Dermatophytes

Explanation: Kerion is a hypersensitivity and inflammation reaction in tinea capitis caused by zoophilic species of dermatophytes (T. verruca and T. mentagrophytes).